Olive is seen in which part of brain
1. Medulla
2. Cerebellum
3. Midbrain
4. Pons

Correct answer: 1. Medulla

Explanation: The olivary bodies or simply olives are oval elevations anteriorly in the medulla, posterolateral to pyramids, produced by underlying mass of grey matter called inferior olivary nucleus.Apart from olives, structures seen ventrally are:PyramidsRootlets of hypoglossal nerveInferior cerebellar pedunclesRootlets of 9,10,11 cranial nerves(Ref: Vishram Singh textbook of clinical neuroanatomy second edition pg 74)